Koplik spots are seen in:
1. Mumps
2. Influenza
3. Rubella
4. Measles

Correct answer: 4. Measles

Explanation: D i.e. Measles Koplik spots They are a prodromic viral enanthem of measles manifesting two days before the measles rash itself. They are characterized as clustered, white lesions on the buccal mucosa near each Stensen's duct (on the buccal mucosa opposite the maxillary 2nd molars) and are pathognomonic for measles.